Sunflower cataract is seen in -
1. Wilson's Disease
2. Myotonic Dystrophy
3. DM
4. Congenital Rubella

Correct answer: 1. Wilson's Disease

Explanation: Ans. is 'a' i.e., Wilson's Disease DiseaseCataractMyotonic DystophyChristmas tree cataractWilson's disease, chalcosisSunflower cataractDM, Down's SyndromeSnowflake cataractAtopic dermatitisBlue dot cortical cataract, posterior subcapsular cataractCongenital rubellaNuclear cataractGalactosemiaOil drop cataractComplicated cataract (Iridocyclitis, High myopia)Posterior cortical breads's crumb appearancePolychromatic lusture / Rainbow cataractBlunt traumaVossius ring on anterior surface of lensRosette shaped cataract